Otosclerosis treatment includes all except -
1. Sodium fluoride
2. Hearing Aids
3. Stapedectomy
4. Radicalmastoidectomy

Correct answer: 4. Radicalmastoidectomy

Explanation: Ans. is 'd' i.e., Radical mastoidectomyTreatment of otosclerosiso Treatment options for otosclerosis includeObservationOtosclerosis may slowiy get wrorse. The condition may not require treatment until patient has severe hearing problem, e.g. unilateral disease or mild conductive hearing loss. Hearing loss typically progresses and ultimately requires some intervention.Medical therapySodium fluoride has been tried to hasten the maturity of active focus and arrest further cochlear loss. Although efficacy has not been proved. Other drugs which have been tried are bisphosphonates (Alendronate, etidronate, risedronate, zolendronate), calcium and vitamin D. but benefits have not been proven.HearingAidHearing Aid may be used to treat hearing loss. This will not cure or prevent hearing loss from getting wrorse, but may help to relieve some of the symptoms.SurgerySurgical management is the treatment of choice.Following surgeries are usedStapedectomy with a placement of prosthesisHere, complete stapes is removed and is replaced by a prosthesis. Traditionally it is considered as the treatment of choice.StapedotomyHere, a laser is used to make a hole in stapes to allow the placement of a prosthesis. It is now increasingly becoming the procedure of choice.C) Lemperts fenestration procedureFenestration of the lateral semicircular canal is done. It is reserved for cases where footplate cannot be mobilized during stapedectomy.D) Stapes mobilizationIt can be tried in those cases only in which there is partial ankylosis of stapes footplate.